Drug frequently associated with the development of noninfectious chronic meningitis is
1. Ibuprofen
2. Cefipime
3. Acyclovir
4. Phenobarbital

Correct answer: 1. Ibuprofen

Explanation: Answer: a) IbuprofenDrugs associated with noninfectious chronic meningitis: NSAIDs (mc-ibuprofen), sulfonamides, isoniazid, tolmetin, ciprofloxacin, penicillin, carbamazaepine, lamotrigine, IV immunoglobulin, OKT3 antibodies, phenazopyridine